Community health centres covering a population of
1. 40-60,000
2. 60-80,000
3. 80- 1.20,000
4. More than 1.20,000

Correct answer: 3. 80- 1.20,000

Explanation: (80 - 120,000) (753 - Park 19th) (807-Park 20th)* CHC: Covering a population of 80, 000 to 1.20 lakhs.* 30 Beds* Specialist is surgery medicine, obstetrics & Gynaecology and paediatrics* X ray and laboratory facilities* PHC - Every 30,000 rural population in the plains* Every 20,000 population in hilly, tribal and backwardFunctions of PHC1. Medical care2. MCH including family planning3. Safe water supply and basic sanitation4. Prevention and control of locally endemic disease5. Collection and reporting of vital statistics6. Education about health7. National health programme8. Referral services9. Training of health guides, health workers, local dais health assistants10. Basic laboratory services